Bunion is commonly seen at ?
1. Great toe MTP joint
2. Medial malleolus
3. Lateral Malleolus
4. Shin of tibia

Correct answer: 1. Great toe MTP joint

Explanation: Ans. is 'a' i.e., Great toe MTP joint Bunion A hallux abducto valgus deformity, commonly called a bunion, is a deformity characterized by lateral deviation of the great toe, often erroneously described as an enlargement of bone or tissue around the joint at the head of the big toe. The bump itself is partly due to the swollen bursal sac or an osseous (bony) anomaly on the metatarsophalangeal joint. The larger part of the bump is a normal part of the head of the first metatarsal bone that has tilted sideways to stick out at its top.